Which of the following flaps are used for lip reconstruction:
1. Webster-Bernard Flap / repair
2. Karapandzic flap
3. Abbe-Estlander flap
4. All of the above

Correct answer: 4. All of the above

Explanation: Cross lip flaps:
Abbe-Estlander Flap: Based on labial artery.
Circumoral advancement Flaps:

Karpandzic flap: Neuromuscular flap based on labial artery.
Wester-Bernard repair: Lateral nasolabial flap.